True about Duchenne's muscular dystrophy is:
1. It is an X- linked recessive disorder
2. Skeletal muscle wasting occurs due to abnormalities of the contractile filaments
3. Muscle wasting occurs in the pelvic region only
4. It is a form of titanopathy

Correct answer: 1. It is an X- linked recessive disorder

Explanation: Duchenne's muscular dystrophy (DMD) is an X-linked recessive disorder. (option A is correct.) There is a genetic defect in the dystrophin gene; it results in deficiency of the protein dystrophin in skeletal muscle Dystrophin is a large protein that is present on the intracellular surface of the sarcolemma, it makes dystrophin-glycoprotein complex.. In DMD, there is severe muscle wasting; death may occur from respiratory failure.